Xiphoid fuses with sternum by what age ?
1. 30 years
2. 35 years
3. 40 years
4. 45 years

Correct answer: 3. 40 years

Explanation: Ans. is 'c' i.e., 40 years